The most earliest sign of anterior uveitis is:
1. Aqueous flare
2. Keratic precipitates
3. Constriction of pupil
4. Raised intraocular pressure

Correct answer: 1. Aqueous flare

Explanation: Ans. Aqueous flare